Central organ in apoptosis is
1. Mitochondria
2. Nucleus
3. Endoplasmic Reticulum
4. Golgi body

Correct answer: 1. Mitochondria

Explanation: . Mitochondria